A 35-year patient recalls episodes where he smells a pungent odor, becomes sweaty and loses consciousness. His family member says while unconscious he was having facial twitching with lip-smacking movements. What is the most probable diagnosis?
1. Focal seizures
2. Hysteria
3. Atonic seizures
4. Myoclonic seizures

Correct answer: 1. Focal seizures

Explanation: The patient is exhibiting focal seizures which are accompanied by transient impairment of patient's ability to maintain normal contact with environment. Chewing, lip smacking, swallowing or picking movements of hands are called Automatism. Full recovery after the episode range from seconds to an hour. Due to involvement of temporal lobe, patient was having an abnormal olfactory sense before the episode.